Sympathetic supply to heart
1. C5 - C7
2. T1 - T4
3. C1 - C4
4. T5 - T9

Correct answer: 2. T1 - T4

Explanation: Sympathetic nerves are derived from upper four to five thoracic segments of spinal cord .that is from T1-T4 ganglia. BD CHAURASIS'S HUMAN ANATOMY VOLUME 1. 6TH EDITION.Page no 267.fig.18.30